Genital ridge develops from
1. Paraxial mesoderm
2. Lateral plate mesoderm
3. Intermediate mesoderm
4. None

Correct answer: 3. Intermediate mesoderm

Explanation: Intermediate mesoderm forms the urogenital ridge which forms testes,ovary and kidney Paraxial mesoderm differentiate into somites and form skeletal muscles and vertebral bodies. Lateral plate mesoderm-small spaces appear in it and later they form intraembryonic coelom.